True about ascent to high altitude:
1. Respiratory acidosis
2. Polycythemia due to dehydration
3. Acute mountain sickness starts to develop on 7th day of ascent
4. Acetazolamide may be given prophylactically

Correct answer: 4. Acetazolamide may be given prophylactically

Explanation: Respiratory alkalosis occurs Polycythemia is due to increased erythropoietin Acute mountain sickness develops 8-24 hr after arrival at altitude and lasts 4-8 days. Acute altitude illness: 3 forms Acute mountain sickness (AMS) The pathophysiology of AMS is not well understood. The essential factor responsible for this condition is hypoxemia High altitude cerebral edema (HACE) High altitude pulmonary edema (HAPE)